Abortion in H. mole most often occurs at :
1. 2-4 weeks
2. 4-6 weeks
3. 6-12 weeks
4. 4-6 months

Correct answer: 4. 4-6 months

Explanation: 4-6 months